Ponderal index in malnourished babies is:
1. <1
2. <2
3. <4
4. <6

Correct answer: 2. <2

Explanation: Ans. (b) <2Ref: Rudolph Pediatrics 22th ed./191Ponderal index = weight in grams/ (length of baby in cm)3 multiplied by 100# If value is less than 2 = Asymetrical IUGR# If value is more than 2= symmetrical IUGR* Asymmetrical IUGR is more common. In asymmetrical IUGR, there is restriction of weight followed by length. The head continues to grow at normal or near-normal rates (head sparing). This is a protective mechanism that may have evolved to promote brain development. This type of IUGR is most commonly caused by extrinsic factors that affect the fetus at later gestational ages.* Symmetrical IUGR is less common and is more worrisome. This type of IUGR usually begins early in gestation. Since most neurons are developed by the 18th week of gestation, the fetus with symmetrical IUGR is more likely to have permanent neurological sequelae.